An effective state of consciousness in which joy, sorrow,
fear, hate or the likes are expressed is termed as
1. Behavior
2. Emotion
3. Condition
4. Complex

Correct answer: 2. Emotion